Which of the following sets of condition is attributed to normal physiology of puerperium?
1. Tachycardia and weight gain
2. Retention of urine, constipation and weight gain
3. Constipation, tachycardia and retention of urine
4. Retention of urine and constipation

Correct answer: 4. Retention of urine and constipation

Explanation: Ans. is d, i.e. Retention of urine and constipationRef. Dutta Obs. 7/e, p 146General Physiological Changes in PuerperiumPulse* It increases for few hours after delivery and then settles down to normal.Temperature* In the first 24 hrs-temp should not be above 99degF* - On day 3, due to breast engorgement there may be slight rise of temperature.(Note: Rule out UTI if there is rise of temperature).Weight* Loss of 2 kg (5 Ib) occurs due to diuresis.Blood volume* Decreases after delivery and returns to pre-pregnant levels by the second week. QCardiac output* Rises after delivery to 60% above the pre-labour value, and returns to normal within one week.Fibrinogen levels and ESR* Remain high up to the second week of puerperium, ESR levels also remain high.Urinary tract* Retention of urine is common.* Patient should be encouraged to pass urine following delivery.GIT tract* Thirst increased* Constipation (due to intestinal paresis)